Active GP consists of
1. GP with calcium hydroxide
2. GP with ZOE
3. GP with glass ionomer
4. GP with zinc phosphate

Correct answer: 3. GP with glass ionomer